Itchy polygonal violaceous palpules seen in –
1. Psoriasis
2. Pemphigus
3. Lichen planus
4. Pitriasios rosea

Correct answer: 3. Lichen planus

Explanation: The characteristic lesion of lichen planus is pruritic (Itchy), Polygonal, purple (violaceous), Plane (flat topped) papule or plaque.